Gall stones do not contain -
1. Oxalate
2. Cholestrol
3. Phosphate
4. Carbonate

Correct answer: 1. Oxalate

Explanation: Ans. is 'a' i.e. Oxalate